An anaesthetic agent with boiling temperature more than 75 C
1. Ether
2. Halothane
3. Cyclopropane
4. Methoxyflurane

Correct answer: 4. Methoxyflurane